Which of the following is the characteristic of irreversible injury on electron microscopy
1. Disruption of ribosomes
2. Amorphous densities in mitochondria
3. Swelling of Endoplasmic reticulum
4. Cell swelling

Correct answer: 2. Amorphous densities in mitochondria

Explanation: Ans. b. Amorphous densities in mitochondria One of the characteristic features of irreversible injury on electron microscopy is marked dilation of mitochondria with the appearance of large amorphous densities Cell Injury Reversible injury Occurs due to widespread effects of depletion of ATP (decreased activity of NW-K. ATPase), which occurs as a result of hypoxiaQ Features of reversible injury: Cellular swelling" Loss of microvilliQ Bleb formationQ ER swelling: Detachment of ribosomesQ Myelin figures" Nuclear: Clumping of nuclear chromatinQ Irreversible injury Membrane damage is a central factor in pathogenesis of irreversible injury". Features of irreversible injury include: A Severe swelling of mitochondria": Large,flocculant amorphous densities develop in mitochondria! matrix (Increased Ca" influx)" B Severe swelling of lysosomes": Injury to lysosomal membrane follows, various enzymes are released leading to: Decreased basophiliaQ Nuclear changes (Pyknosis, *karyolysis, Karyorrhexis)" Protein digestionQ C. Severe damage to plasma membraneQ